Which of the following diagnostic techniques is most specific for pulmonary embolism?
1. Pulmonary angiography
2. Ventilation lung scanning
3. Perfusion lung scanning
4. Arterial blood gas analysis

Correct answer: 1. Pulmonary angiography